Contraindication of rota virus vaccine is
1. SCID
2. Intussusception
3. Severe allergic raction
4. All of above

Correct answer: 4. All of above

Explanation: Ans. is 'd' i.e., All of above